A person with tuberculosis on domiciliary treatment is expected to do all, except?
1. Dispose sputum safely
2. Use separate vessels
3. Collect drugs regularly
4. Report to PHC if new symptoms arise

Correct answer: 2. Use separate vessels

Explanation: Domiciliary Treatment

Domiciliary/Ambulatory treatment: Self-administration of (oral) drugs by patients themselves without recourse to hospitalization
Studies have shown that ‘hospital treatment has no advantage over domiciliary treatment’

Guidelines for patients on domiciliary treatment:
– Collect drugs regularly
– Dispose sputum safely (burning/5% cresol/boiling/autoclaving)
– Report to PHC if new symptoms arise